K flex file is made from
1. Rhomboid blank
2. Triangular blank
3. Round wire
4. Rectangular blank

Correct answer: 1. Rhomboid blank